Which of the following skull fractures is called a 'Motorcyclist's fracture'?
1. Ring fracture of base of skull
2. Hinge fracture of base of skull
3. Comminuted fracture of skull
4. Depressed fracture of skull

Correct answer: 2. Hinge fracture of base of skull

Explanation: Hinge fracture is also known as motor cyclist's fracture. Ref: The Essentials of Forensic Medicine and Toxicology By Dr K S Narayan Reddy, 28th Edition, Page 211; Guide to Forensic Medicine and Toxicology By B. Jain, 2004, Page 98; Oxford Handbook of Forensic Medicine By Jonathan P. Wyatt, Page 145; Lawyers Guide to Forensic Medicine By Bernard Knight, 2nd Edition, Page 202